The 'doughnut' sign seen on a brain scan usually suggests:
1. Abscess
2. Metastases
3. Glioblastoma
4. All of the above

Correct answer: 4. All of the above

Explanation: Ans. All of the above